predominant extracellular ions are all except
1. Na+
2. K+
3. Cl-
4. HCO3-

Correct answer: 2. K+